Of the following events in labour and delivery, arrange them in their right sequence of appearance: 1. Flexion2. Internal rotation3. Restitution4. External rotation5. Delivery by extention6. Descent7. Engagement
1. 7-6-1-2-5-3-4
2. 7-1-6-5-2-4-3
3. 7-1-5-6-5-3-4
4. 6-7-1-5-2-3-4

Correct answer: 1. 7-6-1-2-5-3-4